Atenolol is indicated in all except
1. Hypertension
2. Partial heart block
3. Hypertrophic obstructive cardiomyopathy
4. Classical angina

Correct answer: 2. Partial heart block

Explanation: Ans. (B) Partial heart block(Ref: KDT 8th/e p160-161)b -blockers are contraindicated in partial or complete heart block as they cause bradycardia.